Investigation of choice for varicose veins:
1. Duplex ultrasound imaging
2. Standard Doppler examination
3. Varicography
4. Venography

Correct answer: 1. Duplex ultrasound imaging

Explanation: Ans: A i.e. Duplex ultrasound imaging Investigation of varicose veins Many now believe that all patients with varicose veins should undergo an assessment by duplex scan Standard Doppler examination is not an accurate method of establishing incompetence of the lesser saphenous incompetence. In all cases of short saphenous incompetence a further investigation is desirable; this is usually carried out by duplex scanning Varicography is an extremely useful investigation in patients with recurrent varicose veins or those with complex anatomy Venography is not used as a standard investigation in patients with varicose veins but is useful if the duplex scan indicates, but cannot confirm, the presence of post-thrombotic change.